The failure of a calcium hydroxide pulpotomy done on a
primary 1st molar is due to:
1. Internal resorption
2. External resorption
3. Pulp calcification
4. Pulp fibrosis

Correct answer: 1. Internal resorption